. Dysfunctional uterine bleeding is commonly met in all except:
1. Adolescence
2. Following childbirth
3. Premenopausal period
4. Postmenopausal period

Correct answer: 4. Postmenopausal period